Which of the following receptors mediate the release of ACTH by Vasopressin?
1. V1a
2. V2
3. V3
4. V4

Correct answer: 3. V3

Explanation: Vasopressin acts on V3 or V1b receptors to release ACTH.